Best test for measuring Graffian follicle Maturation is :
1. Fern test
2. Endometrial biopsy
3. Transvaginal ultrasonography
4. Abdominal sonography

Correct answer: 3. Transvaginal ultrasonography

Explanation: Transvaginal ultrasonography